All are true about H I NI influenza except:
1. Zanamivir commonly given through IV route
2. Fatality more in some high risk group
3. RT-PCR is used for investigation
4. WHO latest trivalent influenza vaccine contains two influenza A subtypes (H3N2 and H1N1) and one influenza B component

Correct answer: 1. Zanamivir commonly given through IV route

Explanation: Answer (a) Zanamivir commonly given through IV route WHO: It is recommended that trivalent vaccines for use in the 2017 southern hemisphere influenza season contain the followingAn A/Michigan/45/2015 (H1N1)pdm09-like virus;An A/Hong Kong/4801/2014 (H3N2)-like virus; andA B/Brisbane/60/2008-like virus.-PCR provides the most timely and sensitive detection of the infectionPandemic influenza A (Hl nl) Treatment: oseltamivir adult oral dose is 75 mg twice daily for 5 days. Zanamivir dose is two inhalation (2 x 5 mg) twice daily for 5 days